Not a selective serotonin reuptake inhibitor:
1. Flouxetine
2. Fluvoxamine
3. Buspirone
4. Citalopram

Correct answer: 3. Buspirone

Explanation: Buspirone